False regarding Cytochrome P-450 enzymes :
1. They are involved in the production of steroids
2. They absorb maximum light at 450nm wavelength
3. They are present in endoplasmic reticulum of liver cells
4. They are non-heme proteins

Correct answer: 4. They are non-heme proteins

Explanation: cytochrome P450 a microsomal enzyme is a hemoprotein, which serves as the terminal oxidase. The name cytochrome P450 (abbreviated as P450 or CYP ) is derived from the spectral properties of this hemoprotein. In its reduced (ferrous) form, it binds carbon monoxide to give a complex that absorbs light maximally at 450 nm. They are involved in the metabolism of various drugs The relative abundance of P450s, compared with that of the reductase in the liver, contributes to making P450 heme reduction a rate-limiting step in hepatic drug oxidations. CYP is vital to the formation of cholesterol, steroids and arachidonic acid metabolites Reference: Katzung 13th edition pg: 55